May masquerade as uveitis:
1. Choroidal detachment
2. Retinal detachment
3. Age related macular degeneration
4. Central retinal artery occlusion

Correct answer: 2. Retinal detachment

Explanation: Ans. Retinal detachment